True about Laron dwarfism is:
1. Growth hormone deficiency
2. Growth hormone insensitivity
3. Plasma IGF-1 is markedly increased
4. Plasma IGF-BP3 at normal levels

Correct answer: 2. Growth hormone insensitivity

Explanation: Laron dwarfism, Plasma GH is normal or elevated GH receptors are unresponsive as a result of loss-of-function mutations of the gene for the receptors. Resultsin growth hormone insensitivity. Plasma IGF-I is markedly reduced, along with IGFBP 3 (IGF-binding protein-3)